Le Forte II is fracture of?
1. Fracture running through alveolar ridge
2. Fracture running through zygomatic process of the maxilla, floor of orbit, root of nose
3. Fracture running through midline of the palate and zygomatico maxillary suture
4. Fracture running through lateral side of hard palate

Correct answer: 2. Fracture running through zygomatic process of the maxilla, floor of orbit, root of nose